Features of Typhoid Ulcers include all of the following Except:
1. Bleeding
2. Perforation
3. Stricture and obstruction
4. Longitudinal orientation

Correct answer: 3. Stricture and obstruction

Explanation: Answer is C (Stricture and obstruction) Strictures and obstruction do not occur in typhoid ulcers. `Typhoid Ulcers heal without significant scarring in patients that recover and hance do not produce strictures or intestinal obstruction' -- Gastrointestinal Pathology Characteristic Features of Typhoid Ulcers Most common site is mucosa of small intestine (Ileum) in region of lymphoid patches (Payer's patches) Ulcers are oval Ulcers are arranged longitudinally (Longitudinal ulcers)Q Lie in the long axis of the intestine along the antimesenteric border Ulcers may be single or multiple Ulcers may erode and cause complications (Bleeding/perforation) Q - Bleeding - Perforation Ulcers heal without significant scarring or fibrosis in patients who recover - Strictures and intestinal obstruction almost never occurs.